True regarding cortical blindness -
1. Direct and consensual reflexes are present in both the eyes
2. Direct and consensual reflexes absent in both the eyes
3. Direct reflex is present and consensual absent on the normal side
4. Direct reflex is absent on normal side and consensual reflex present

Correct answer: 1. Direct and consensual reflexes are present in both the eyes

Explanation: It has already been explained that light reflex (pupillar reflex) is spared if the lesion is distal to optic tract in visual pathway, i.e. lateral geniculate body, optic radiation and cortex.